Factors that produce acute pancreatitis include all of the following except?
1. Alcohol
2. Hypercalcemia of parathyroid origin
3. Gall stones
4. Haemochromatosis

Correct answer: 4. Haemochromatosis

Explanation: Ans. is 'd' i.e., Hemochromatosis Causes of Acute Pancreatitis Common causes Gallstones (including microlithiasis) - most common Hypertriglyceridemia Endoscopic retrograde cholangiopancreatography (ERCP), especially after biliary manometry. Trauma (especially blunt abdominal trauma) Postooperative (abdominal and nonabdominal operation) Drugs ( L-asparginase, thiazide diuretics, frusomide, estrogens, azathioprime, 6-mercaptopurine, methyldopa, sulfonamide, tetracyclin, valproic acid, anti-HIV medicacations) Sphincter of Oddi dysfunction Uncommon causes Vascular causes and vasculitis (ischemic-hypoperfusion states after cardiac surgery) Connective tissue disorders and thrombotic thrombocytopenic purpura (TTP) Cancer of the pancreas Hypercalcemia Periampullary diverticulum Pancreas divisum Hereditary pancreatitis Cystic fibrosis Renal failure Rare causes Infections (mumps, coxsackievirus, cytomegalovirus, echovirus, parasites). Autoimmune (i.e., Sjogren's syndrome)